True about gall stones
1. More common in females
2. Gall stones, hiatus hernia, CBD stones from saints traid
3. Limey bile precipitated
4. Lithotripsy always done

Correct answer: 1. More common in females

Explanation: Factors that may increase your risk of gallstones include: Being female Being age 40 or older Being overweight or obese Being sedentary Being pregnant Eating a high-fat diet Eating a high-cholesterol diet Eating a low-fiber diet Having a family history of gallstones Having diabetes Losing weight very quickly Taking medications that contain estrogen, such as oral contraceptives or hormone therapy drugs Having liver disease Ref: Sabiston 20th edition Pgno :1492